In near vision what is the change?
1. Power of lens decreases
2. Depth of focus increases
3. Lateral recti contraction
4. Zonular tension increases

Correct answer: 2. Depth of focus increases

Explanation: Ans. b. Depth of focus increasesThe most common problems developed in adults between ages 41 to 60 may to seeing clearly at close distances, especially when reading and working on the computer.This normal change in the eyes focusing ability, called presbyopia.